Burst abdomen is seen after how many days of surgery
1. 1-4 days
2. 3-5 days
3. 6-8 days
4. 10-12 days

Correct answer: 3. 6-8 days

Explanation: In 1-2% of cases, mostly between the sixth and eighth day after operation, an abdominal wound bursts open and viscera are extruded. This is called burst abdomen or abdominal wound dehiscence. The sutures apposing the deep layers (peritoneum, posterior rectus sheath) tear through or even become untied.Reference : page 986 Bailey and Love's short practice of surgery 25th edition